True about ribozymes are A/E
1. Catalytic activity
2. Involved in transesterification
3. Hammerhead metallo enzyme
4. Deamination

Correct answer: 4. Deamination

Explanation: D i.e. DeaminationRibozyme is RNA with catalytic activityQ. Examples include selfsplicing group I introns, RNase P, & hammerhead metallo enzymeQ of virusoids (requiring Mg2+). These are involved in transesterification, phosphodiester bond hydrolysis (cleavage), RNA metabolism (splicing & endoribonuclease), peptide bond formation (peptidyl transferases) and site specific RNA cleavage.